Magnitude of action potential is determined by:
1. Na+
2. Mg++
3. K++
4. Ca++

Correct answer: 1. Na+

Explanation: Maximum magnitude is determined by equilibrium potential of Na+ ion.